A 68-year-old man who was a diagnosed case of HIV infection for last 12 years was brought to outpatient department for evaluation. His wife reports that for last 6 months she has been noticing changes in his behaviour. She further added that 'He appears uninterested and doesn't seem to care about anything. I haven't seen him crying or saying something negative, but may be he is getting depressed. He is also having difficulty remembering things ' The patient has been irregular with his HIV medications. His last CD4+ cell count, measured 5 months ago, was 210/mm3. While walking , patient was observed to have subtle jerking movements. Which of the following is the likely diagnosis?
1. Alzheimer's disease
2. Delirium
3. HIV-associated dementia
4. Major depressive disorder

Correct answer: 3. HIV-associated dementia

Explanation: It is a neurocognitive disorder, which is usually seen in untreated HIV patients with a CD4+ cell count of <200/mm3 and in patients with long-standing HIV disease. The onset is usually subacute and manifests with apathy and impairment of attention. Subcortical (e.g, basal ganglia, nigrostriatal) symptoms manifest early with symptoms such as slowed movement and difficulty with smooth limb movement. This is followed by cortical symptoms such as memory decline. Regular antiretroviral therapy decreases the possibility of development of HIV associated dementia, and may be helpful even if the symptoms have already started.